Which of the following drug is contraindicated in a patient with raised intracranial pressure?
1. Thiopentone
2. Propofol
3. Midazolam
4. Ketamine

Correct answer: 4. Ketamine

Explanation: ketamine increases all the pressures - blood pressure intracranial pressure intragastric pressure intraocular pressure In patients with increased ICP who are breathing spontaneously, ketamine should be used with caution because it can increase ICP and has been reported to cause apnea. It is contraindicated. Ref: Miller's anesthesia 8th edition.